Host related biological properties of a disease agent are the following except -
1. Virulence
2. Infectivity
3. Pathogenicity
4. Communicability

Correct answer: 4. Communicability

Explanation: Ans. is 'd' i.e., Communicability The disease agents exhibit certain host-related biological properties such as infectivity, virulence, and pathogenicity.